All the following are used for the detoxification of opioids except
1. Methadone
2. Clonidine
3. Buprenorphine
4. Pethidine

Correct answer: 4. Pethidine

Explanation: Pethidine isn't used and methadone is most commonly used as it has v v less addiction liability and it acts slow and in uniform manner opiod withdrawl and opiod detoxification has to be read in detail opiod detoxification can be done by 3 main steps namely SYMPTOMATIC DETOXIFICATION=== using clonidine, benzodiazepam, dicyclomine, loperamide AGONIST ASSOSIATED DETOXIFICATION==using methadone and buprenorphoine ANTAGONIST ASSOSIATED DETOXIFICATION===using Naltrexone Ref: Essentials of postgraduate psychiatry By JN Vyas 1st ed Pg 339